Which among the following topical agent used in burns can cause acidosis
1. Silver sulfadiazine
2. Mafenide acetate
3. Silver Nitrate
4. Povidone Iodine

Correct answer: 2. Mafenide acetate

Explanation: Mafenide cause acidosis, by inhibiting carbonic anhydrase.